Ureter develops from:
1. Metanephric Diverticulum
2. Metanephric Mesoderm
3. Metanephric Vesicles
4. Pronephric Vesicles

Correct answer: 1. Metanephric Diverticulum

Explanation: The ureter develops from the Metanephric Diverticulum (Ureteric bud) which arises as a diverticulum from the Mesonephric (Wolffian duct). Permanent kidneys develop in the Metanephros near the caudal end of the Nephrogenic cord from two sources. Metanephric Diverticulum (Ureteric bud) Metanephric mesoderm The ureteric bud or metanephric diverticulum is an outgrowth from the mesonephric duct near its entrance into the cloaca Each newly formed ureteric bud is covered at its distal end by a metanephric tissue cap. The metanephric mesoderm is derived from the caudal part of the nephrogenic cord The ureteric bud grows to give rise to the ureter renal pelvis, major and minor calyces and approximately 1 to 3 million collecting tubules The metanephric mesoderm gives rise to the nephron (Nephron consists of glomeruli, glomerular capsule, proximal convoluted tubule, loop of henle and distal convoluted tubule Ureter Renal pelvis Major calyx Minor calyx Collecting duct Distal convoluted tubule Loop of Henle Proximal convoluted tubule Renal (Bowman's) capsule Renal glomerulus Ref: Moore's The developing human 7th edition Pgno: 288